For any anesthetics, the basic standards of monitoring include a continuous evaluation of all except
1. Hematocrit
2. Circulation
3. Ventilation
4. Oxygenation

Correct answer: 1. Hematocrit

Explanation: The basic monitoring standards of the American Society of Anesthesiologists states that "the patient's oxygenation, ventilation, circulation, and temperature shall be continually evaluated.